True about metastatic calcification
1. Serum Ca level is normal
2. Occurs in dead/dying tissue
3. Occurs in damaged heart valves
4. Calcification starts in mitochondria

Correct answer: 4. Calcification starts in mitochondria